Transitional cell carcinoma of bladder is associated with -
1. Schistosomiasis
2. Naphthylamine
3. Smoking
4. All

Correct answer: 4. All

Explanation: Ans 'a' Schistosomiasis; 'b' Naphthylamine ; 'c' Smoking Risk factors for Transitional cell ca of Bladder 1) Cigarette smoking - is the main etiological factor and accounts for about 50% of bladder cancers. 2) Occupational exposures to chemicals the following compounds may be carcinogenic - 2 naphthylamine - combustion gases and soot from coal - 4-aminobiphenyl - chlorinated aliphatic hydrocarbons - 4-nitrobiphenyl - certain aldehydes such as acrolein - 4-4-diaminobiphenyl (benzidine) - aniline dyes - 2-ami-1 -naphthol Occupation reported to be associated with increased risk of bladder cancer - autoworkers - metal workers - painters - textile worker - truck drivers - dye workers drill press operator - petrol workers leather workers rodent exterminators & sevage workers 3) Schistosoma haemotobium - it's a risk factor for both transitional cell ca & squamous cell ca. 4) Drugs such as phenacetin & chlornaphazine 5) Cyclophosphamide therapy 6) Pelvic irradiation Vitamin A supplements appear to be protective.